A 75-year-old man is admitted with epigastric pain, anemia, and weight loss. On upper gastrointestinal endoscopy, a large ulcer is found in the distal antrum. The biopsy report shows adenocarcinoma of the stomach. CAT scan of the liver shows no metastasis. You would recommend:
1. Whipple procedure (pancreaticoduodenectomy)
2. Vagotomy and antrectomy
3. Subtotal gastrectomy
4. Vagotomy and pyloroplasty with wedge resection of the ulcer

Correct answer: 3. Subtotal gastrectomy

Explanation: A subtotal gastrectomy with negative margins is appropriate treatment for gastric carcinoma. Vagotomy adds nothing as patients with gastric cancer are invariably achlorhydric. A Whipple procedure is done for pancreatic carcinoma. Total gastrectomy is rarely indicated for a distal gastric carcinoma.